Which of the following mullerian anomaly is least likely to develop endometriosis
1. Transverse vaginal septum
2. Bicornuate Uterus
3. Imperforate Hymen
4. Unicornuate uterus.

Correct answer: 2. Bicornuate Uterus

Explanation: Bicornuate Uterus is least likely to develop endometriosis.